The most appropriate management for maintaining patency of ductus arteriosus in a neonate is -
1. Prostaglandin E1
2. Oxygen
3. Nitric oxide
4. Indomethacin

Correct answer: 1. Prostaglandin E1

Explanation: Ans. is 'a' i.e., Prostaglandin E1 o Ductus arteriosus remains patent in the uterus in the fetal life because of high level of vasodilators especially prostaglandin E, in the blood. o After birth the prostaglandin synthesis is inhibited by inhibition of cycloxygenase at birth. o So if the patency of ductus arteriosus has to be maintained --> prostaglandins should be given. o The drug which is specifically used for this is prostaglandin E, (Misoprost, Rioprostil) o If the ductus arteriousus has to be closed, prostaglandin synthesis inhibitor - Indomethacin should be given.